Body mass index (BMI) is a ratio of body weight to ?
1. Height
2. Square root of height
3. Square of height
4. Cube of height

Correct answer: 3. Square of height

Explanation: Ans. is 'c' i.e., Square of height Body mass index Body mass index (BMI) is a simple index of weight for height that is commonly used to classify underweight, overweight and obesity in adults. It is defined as the weight in kilograms divided by the squire of height in metres.